All of the following are recognised features of psuedotumour cerebrii, except -
1. Papilloedma
2. Absece of localizing neurological deficit
3. Increased protein content in the CSF
4. Normal sized ventricles on CT scanning

Correct answer: 3. Increased protein content in the CSF